All of the following structures press over the oesophagus, EXCEPT?
1. Aortic arch
2. Left atrium
3. Left bronchus
4. Right bronchus

Correct answer: 4. Right bronchus

Explanation: Anteriorly the normal esophagus is indended from above downwards by three important structures that cross it, the arch of aorta, left bronchus and left atrium. Various structures that may press on the oesophagus and cause obstruction are:Enlarged left atriumBronchial carcinomaEnlarged lymph nodes at the hilum of lungDilated aortaCongenital abnormalities of the main thoracic arteriesThe 4 constrictions of the oesophagus are:First constriction is at the pharyngoesophageal junctionSecond constriction is produced by the arch of aorta as it crosses the anterior and lateral aspects of oesophagusThird constriction is produced by the left bronchus as it crosses the oesophagusFourth constriction is at the oesophageal opening in the diaphragm.